Goldenhar syndrome is associated with which prominent ocular manifestation:
1. Microcornea
2. Megalocornea
3. Sclerocornea
4. Epibulbar dermoids

Correct answer: 4. Epibulbar dermoids

Explanation: Ans. Epibulbar dermoids